Muscle acting both at knee and ankle joint is/are-a) Gastrocnemiusb) Soleusc) Plantarisd) Tibialis posteriore) Flexor hallucis longus
1. a
2. bc
3. ac
4. b

Correct answer: 3. ac

Explanation: Muscles acting on both hip and knee
-        Rectus femoris
-        Sartorius
-        Tensor fascia lata
Muscles acting on both knee and ankle
-        Gastrocnemius
-        Plantaris
Muscles acting on both ankle and toes
-        Extensor hallucis longus
-        Extensor digitorum longus
-        Flexor hallucis longus
-        Flexor digitorum longus